The installation and usage of sanitary latrines by general public constitutes which level of prevention
1. Health promotion
2. Specific protection
3. Early diagnosis and treatment
4. Disability limitation and rehabilitation

Correct answer: 1. Health promotion

Explanation: Provision of safe water, installation of sanitary latrine, control of insects and rodents, improvement of housing comes under environmental modification of health promotion. Ref: Park's textbook of preventive and social medicine; 23rd edition